A 23-year-old female presents with an itchy, linear rash on her foot. She returned from a camping trip 4 days ago and denies using any new makeup, clothing, or jewelry. True about this skin pathology:
1. Type II hypersensitivity reaction
2. More common in children than in adults
3. Usually pruritus is absent
4. Treatment is with corticosteroids

Correct answer: 4. Treatment is with corticosteroids

Explanation: Diagnosis - Contact dermatitis. Foot lesions are erythematous papules and vesicles with serous weeping. Lesions localized to areas of contact with the offending agent (the foot ware in this case). Treatment: Topical or systemic corticosteroids & cool, wet compresses